A 7-year-old boy falls off his bicycle while riding down the street at 5 km/hr. The skin of his right calf and right arm scrape along the pavement, and the top layer of the epidermis is removed. Which of the following terms best describes this injury?
1. Abrasion
2. Burn
3. Contusion
4. Incision

Correct answer: 1. Abrasion

Explanation: A scraping injury produces an abrasion but does not break through the skin. A burn injury causes coagulative necrosis without mechanical disruption. A contusion is a bruise with extravasation of blood into soft tissues. Lacerations break the skin or other organs in an irregular pattern. An incised wound is made with a sharp instrument such as a knife, leaving clean edges.